Gas used in retinal temponade-
1. SF6
2. Ethylene oxide
3. Nitrous oxide
4. CO2

Correct answer: 1. SF6

Explanation: SF6 Pars plana vitrectomy (PPV) with gas tamponade is widely popular for the treatment of rhegmatogenous retinal detachment . Four different intraocular gases are commonly used in vitreoretinal surgery: air, sulfur hexafluoride (SF6), perfluoroethane (C2F6) and perfluoropropane (C3F8). Indications for tamponades- To drain subretinal hemorrhages/fluid To provide internal tamponade of retinal breaks in postoperative cases